Epinephrine is used for all the following, except
1. To prolong the action of local anaesthetics
2. As a topical haemostatic agent
3. Management of acute heart failure
4. Management of cardiac arrest

Correct answer: 3. Management of acute heart failure